Total thyroid lobectomy on affected side, with conservation of 1-2 gm of thyroid tissue on contralateral side to preserve parathyroid glands, is known as:
1. Sub total thyroidectomy.
2. Near total thyroidectomy.
3. Total thyroidectomy.
4. Hemithyroidectomy.

Correct answer: 2. Near total thyroidectomy.